Best technique to locate an impacted maxillary canine?
1. Occlusal radiograph
2. Periapical radiograph with tube shift technique
3. CBCT
4. OPG

Correct answer: 3. CBCT